A patient has sensation of bugs crawling all over his body; this may be an effect of:
1. Cocaine
2. Alcohol
3. Cannabis
4. Benzodiazepines

Correct answer: 1. Cocaine

Explanation: This patient is having sensation of 'cocaine bugs' crawling in his body which is the effect of chronic cocaine poisoning. Ref: Parikh's Textbook of Medical Jurisprudence Forensic Medicine and Toxicology, 5th Edition, Page 917 and 6th Edition, Page 119 ; The Essentials of Forensic Medicine and Toxicology By K.S. Narayana Reddy, 27th Edition, Page 536